Which is the smallest lobe of cerebellum?
1. Flocculonodular lobe
2. Lingular lobe
3. Pyramidal lobe
4. Archicerebellum

Correct answer: 1. Flocculonodular lobe

Explanation: Ans. A Flocculonodular lobeRef: Netter's atlas of Neurosciences, 3rd ed. pg. 409* The flocconodular lobe is the smallest lobe.* Most primitive part of cerebellum is archi-cerebellum and most recent part is neo-cerebellum.